Tom smith septic arthritis affects?
1. Neck of infants
2. Hip joint of infants
3. Elbow joint of children
4. Shoulder joint in children

Correct answer: 2. Hip joint of infants

Explanation: Tom Smith arthritis:* Septic arthritis of hip joint in < 1 year old(infants) * Complete destruction of femoral epiphysis leading to hyper-mobile hip joint and instability.